Involvement of the joints of hand is relatively uncommon in which of following arthritis?
1. Ankylosing spondylitis
2. Reactive arthritis
3. Psoriatic arthritis
4. Rheumatoid arthritis

Correct answer: 1. Ankylosing spondylitis

Explanation: Joints involved in ankylosing spondylitisAnkylosing spondylitis primarily affects the axial skeletonThe disease usually begins in the sacroiliac joints and usually extends upwards to involve the lumbar, thoracic, and often cervical spineIn the worst cases, the hips or shoulders are also affected. The hip joint is the most commonly affected peripheral jointRarely knee and ankle are also involved(Refer: Mohindra's Fundamentals of Orthopedics, 2nd edition, pg no. 302, 426)